A 80 year old male patient presents with a midline tumor of the lower jaw, involving the alveolar margin. He is edentulous. Rx of choice is :
1. Hemi-mandibulectomy
2. Commando operation
3. Segmental mandiblectomy
4. Marginal mandibulectomy

Correct answer: 3. Segmental mandiblectomy

Explanation: segmental mandibulectomy *Since it is a midline lesion involving the lower jaw treatment is segmental resection of mandible. *Marginal mandibulectomy is not indicated if alveolar margins involved grossly or radiologically. *Hemi-mandibulectomy is not recommended for midline lesion. Note: Segmental resection of anterior arch of mandible result in significant functional and cosmetic deformity called Andy Gump deformity. Immediate reconstruction done with osetomyocutaneous flap or free microvascular bone graft.